Kit B given at subcentre –
1. Vit A
2. ORS
3. Paracetamol
4. Iron

Correct answer: 3. Paracetamol

Explanation: Sub-center kit A contains :- (i) Iron (Ferrous sulphate) & folic acid; (ii) Zinc sulphate; (iii) Cotrimoxazole; (iv) Vitamin A; (v) ORS; and (vi) Gentian violet crystals.
Sub-center kit contains :- (i) Paracetamol; (ii) Dicyclomine hydrochloride; (iii) Albendazole; (iv) Methylergometrine; (v) Povidone iodine ointment; (vi) Chloramphenicol eye ointment; (vii) Rolled bandage; and (viii) Absorbent cotton wool.